Nitric oxide is produced in
1. Endothelium
2. Plasma
3. Platelets
4. Serum

Correct answer: 1. Endothelium

Explanation: Nitric oxide is formed from Arginine, released from endothelial cells and acts through cGMP to cause vasodilation. 
It is also believed to be involved in gastrointestinal smooth muscle relaxation by acting as a neurotransmitter.